all are ture ragrding gall stones management except ?
1. it should be cholestrol stone
2. it should be radio opaque
3. function gallbladder
4. non acute symptoms

Correct answer: 2. it should be radio opaque

Explanation: medical management of gallstones : it should be cholesterol stone it should be radioluscent gallbladder should be functioning non acute symptoms size of stone <1.5cm ref : bailey and love 27th ed